What is drug of choice for acute attack of migraine
1. Methysergide
2. Caffeine
3. Amitryptiline
4. Sumatriptan

Correct answer: 4. Sumatriptan

Explanation: Answer is D (Sumatriptan): The drug of choice for an acute attack of migraine is Sumatriptan.